Drug of Choice for absence seizure in children < 3 years of age is
1. Ethosuximide
2. Carbamazepine
3. Lamtrigine
4. Phenytain

Correct answer: 1. Ethosuximide

Explanation: Answer- A. EthosuximideEthosuximide is the DOC for absence seizures in children below 3 years of age as Na valproate may cause fulminant hepatitis in children below 3 years of age. Broadly. Na valproate is the DOC for absence seizures.